According to Poiseuille's law, reducing the radius of an airway to one-third will increase its resistance how many fold?
1. 3-Jan
2. 3
3. 9
4. 81

Correct answer: 4. 81

Explanation: Poiseuille's law states that during laminar flow, airway resistance is inversely proportional to the 4th power of the radius, other things being equal. Therefore, a reduction in the radius by a factor of 3 increases the resistance by 34, that is, 81.